Which of the following factors markedly increases the risk of valproate-induced liver toxicity?
1. Male gender
2. Age younger than 2 year
3. Family history of epilepsy
4. Allergic reactions to phenobarbital

Correct answer: 2. Age younger than 2 year